Which of the following parasite passes through three hosts -
1. Fasciola hepatica
2. Fasciola buski
3. Schistosoma haematobium
4. Clonorchis sinensis

Correct answer: 4. Clonorchis sinensis

Explanation: first intermediate host- operculate snails Second intermediate host- fresh water fish Definitive host- man,pig,cat,dog and rat (refer pgno:124 baveja 3 rd edition)